Rickettia prowazaki causes:
1. Epidemic typhus
2. Endemic typhus
3. Scrub typhus
4. Trench fever

Correct answer: 1. Epidemic typhus

Explanation: (A) Epidemic typhus # R.prowazekii named after von Prowazek, who had contracted fatal typhus fever while investigating the disease.> Other diseases caused by Ricketisis are: Endemic typhus - R. typhi (mooseri) Tick typhus - R.rickettsii Scrub/CHIGGER Typhus - Borne -R. tsutsugamushi, R.orientalis Trench/five day fever - R. Quintana (Bartunella quintana)> Epidemic typhus is caused by R. prowazekii.